Which of the following is not seen in Cushing syndrome
1. Hypotension
2. Peptic ulcer
3. Proximal myopathy
4. Glucose intolerance

Correct answer: 1. Hypotension

Explanation: It is associated with hypertension.